Consort statement is applicable for
1. Cohort Studies
2. Cross Sectional Studies
3. Care Control Studies
4. Randomized Controlled Trial

Correct answer: 4. Randomized Controlled Trial